Maximum dilatation of esophagus occurs in-
1. Carcinoma at gastro esophageal junction
2. Achalasia cardia
3. Stricture at lower end
4. CREST syndrome

Correct answer: 2. Achalasia cardia